Coagulative necrosis is due to
1. Denaturation of protein
2. Enzymatic digestion
3. Infection
4. None

Correct answer: 1. Denaturation of protein

Explanation: Coagulative necrosis is a form of necrosis in which the underlying tissue architecture is preserved for at least several days. The affected tissues take on a firm texture. Presumably, the injury denatures not only structural proteins but also enzymes, thereby blocking the proteolysis of the dead cells( Robbins Basic Pathology, 9th edition, page 10 )